Cochleate uterus is :
1. Acute antiflexion
2. Acute retroflexion
3. Acute retroversion of uterus
4. None of the above

Correct answer: 1. Acute antiflexion

Explanation: Acute antiflexion